Which drug act by converting uric acid to allantoin?
1. Sulfinpyrazone
2. Rasburicase
3. Febuxostat
4. Colchicine

Correct answer: 2. Rasburicase

Explanation: Uric Acid:- is water insoluble, It precipitate at different site and cause symptoms. In Birds, Uric Acid is further metabolized to a compound called Allantoin, which is water soluble and donot precipitate. Uricase metabolize uric Acid to Allantoin RASBURICASE Birds Recombinant Febuxostat: non purine xanthine oxidase inhibitor, thereby reducing formation of xanthine and uric acid. Colchicine: Produces its anti-inflammatory effect by binding to intracellular Proteintubulin, there by preventing its polytenization in monostable and leading to inhibition of leukocyte migration and phagocytosis. Also inhibits the formation of leukotriene by. Probenecid and sulfinpyrazone are uricosuric drugs employed to decrease the body pool of urate in patient with tophaceous gaunt of those with increasingly prevent gently attacks.